Complication of vernal kerato conjunctivitis-
1. Cataract
2. Keratoconus
3. Retinal detachment
4. Vitreous hemorrhage

Correct answer: 2. Keratoconus

Explanation: VERNAL KERATOCONJUNCTIVITIS (VKC) OR SPRING CATARRH : It is a recurrent, bilateral, interstitial, self-limiting, allergic inflammation of the conjunctiva having a periodic seasonal incidence. Vernal corneal plaques result due to coating of bare areas of epithelial macroerosions with a layer of altered exudates ref: A K KHURANA OPHTALMOLOGY,E4, Page-74,75